Pancuronium differs from tubocurarine in that :
1. It is a depolarizing blocker
2. Its action is not reversed by neostigmine
3. It can cause rise in BP on rapid.I.V. injection
4. It causes marked histamine release

Correct answer: 3. It can cause rise in BP on rapid.I.V. injection